Which is not pyrogenic -
1. IL-1
2. TNF-a
3. IL-4
4. IL-6

Correct answer: 3. IL-4

Explanation: Pyrogenic cytokines such as tumor necrosis factor (TNF), interleukin (IL)-1, IL-6, and interferons into the bloodstream in response to exogenous pyrogens. Reff: www.mayoclinic.com